The 'Japanese Detergent Suicide Technique' involves mixing of common household chemical to produce:
1. H2S and other poisonous gases
2. Deadly foam
3. Deadly Acidic Compond
4. Deadly fluid cyanide compound

Correct answer: 1. H2S and other poisonous gases

Explanation: A ie. H2S - Japanese Detergent Suicide technique involves mixing of house hold chemicals like bath sulfur with toilet bowl cleaner to produce a deadly poisonous hydrogen sulfide gas cloudQ. It is used in enclosed spaces like car or closets to achieve near instant death. American version substitutes a common insecticide for bath sulfur as bath sulfur is not available in US.